Maximum contraction of gall bladder is seen with:
1. CCK
2. Secretin
3. Gastrin
4. Enterogastrone

Correct answer: 1. CCK

Explanation: A i.e. CCK Most potent stimulus for causing gall bladder contraction is CCK-PZQ.